Superior and inferior vesicular artery is a branch of
1. Abdominal aorta
2. Obturator artery
3. Internal iliac artery
4. External iliac artery

Correct answer: 3. Internal iliac artery

Explanation: The superior and inferior vesical artery is a branch(direct or indirect) of the anterior division of the internal iliac artery. It frequently arises in common with the middle rectal artery, and is distributed to the fundus of the bladder. In males, it also supplies the prostate and the seminal vesicles. ref - researchgate.net